All of the following are signs of cerebellar disease EXCEPT-
1. Resting tremors
2. Past pointing
3. Nystagmus
4. Ataxic gait

Correct answer: 1. Resting tremors

Explanation: . *Intention tremor is seen in cerebellar disease and it result from cerebellar overshooting and failure of cerebellar system to damp the motor movement . Ref Harrison20th edition pg 2756